Albers Schonberg disease is:
1. Paget
2. Osteogenesis imperfecta
3. Osteoporosis
4. Osteopetrosis

Correct answer: 4. Osteopetrosis

Explanation: Osteopetrosis is also called as "Marble bone Disease" and "Albers Schonberg Disease" Paget's disease is also known as osteitis deformans. Both Paget's and Osteopetrosis are osteoclast defect. Osteogenesis imperfecta is also known as brittle bone disease. Osteoporosisis known as porous bone.